The difference between gram +ve and gram -ye organism is the gram -ve organism contains:
1. Teichoic acid
2. Muramic acid
3. N-acetyl neuraminic acid
4. Aromatic amino acids

Correct answer: 4. Aromatic amino acids

Explanation: Ans. (d) Aromatic amino acids Ref. Ananthanarayan Cell Wall Features Gram positive Gram negative bacteria Plasmolysis Thickness (Peptidoglycan) Variety of amino acids Aromatic and sulphur containing amino acids Lipids Teichoic acid Late Thicker Few Absent Absent or scant Present Early Thinner Several Present Present Absent